In presence of unusually high outliers, preferred measure of central tendency is:
1. Mean
2. Mode
3. Median
4. Range

Correct answer: 3. Median

Explanation: The mean is vitiated due to presence of outliers. Outliers are unusually high or unusually low values that do not go with other values. Whenever such values are present, mean is not a good choice. In such cases, the median is used as it is not really affected by unusually high or low values. Ref: Medical biostatistics, 1st edition pg: 115